All except one are complications of maternal hyperglycemia
1. Neonatal Jaundice
2. Fetal Hypocalcemia
3. Neonatal hyperglycemia
4. Polycythemia

Correct answer: 3. Neonatal hyperglycemia

Explanation: Maternal Hyperglycemia ⇒ Fetal Hyperinsulinemia ⇒ Neonatal Hypoglycemia.